All of the following drugs are useful in detrussor instability except -
1. Solefenacin
2. Tolterodine
3. Flavoxate
4. Duloxetine

Correct answer: 4. Duloxetine

Explanation: Ans. is 'd' i.e., Duloxetine Detrusor instability o Detrusor instability or unstable bladder is characterized by uninhibited, unstable contractions of the detrusor which may be of unknown etiology or secondary to an upper motor neuron lesion or bladder neck obstruction. Since detrusor contracts under parasympathetic influence, Anticholinergic (specifically antimuscarinic) drugs are used to treat overactive bladder disease or detrusor instability. o These agents lower intravesical pressure, increase capacity and reduce the frequency of contractions by antagonizing parasympathetic control of bladder. o These agents include : - Darifenacin, Solefenacin, Tolterodine, Trospium chloride, Oxybutynin, Solifenacin, Flavoxate